MMSE is used for the diagnosis of :
1. Alzheimer's disease
2. Schizophrenia
3. Depression
4. Anxiety disorders

Correct answer: 1. Alzheimer's disease

Explanation: MMSE is used to diagnose Neurocognitive disorders like Alzheimer's disease.